Which of the organelles contain DNA?
1. Nucleus
2. Nucleolus
3. Golgi apparatus
4. Ribosomes

Correct answer: 1. Nucleus

Explanation: Nucleus is the largest cellular organelle, surrounded by a double membrane nuclear envelope. 
The outer membrane is continuous with the membranes of endoplasmic reticulum.
At certain intervals, the two nuclear membranes have nuclear pores with a diameter of about 90 nm. 
These pores permit the free passage of the products synthesized in the nucleus into the surrounding cytoplasm.
Nucleus contains DNA, the repository of genetic information. 
Eukaryotic DNA is associated with basic protein (histones) in the ratio of 1 : 1 to form nucleosomes.
An assembly of nucleosomes constitutes chromatin fibres of chromosomes.

Key Concept:

Nucleus contains DNA, the repository of genetic information. 
Eukaryotic DNA is associated with basic protein (histones) in the ratio of 1 : 1, to form nucleosomes.

Ref: Textbook of Biochemistry, Satyanarayana